Witts analysis is used for:
1. Lateral jaw relation
2. Antero-posterior jaw relation
3. Superioinferior jaw relation
4. None of the above

Correct answer: 2. Antero-posterior jaw relation

Explanation: THE WITS APPRAISAL
The Wits appraisal is a measure of the extent to which the maxilla and the mandible are related to each other in the antero-posterior or sagittal plane. The Wits appraisal is used in cases, where the ANB angle is considered not so reliable, due to factors such as position of nasion and rotation of the jaws.